A pregnant female with 16 week AOG presented with bleeding. Upon USG Fibroid detected. Management:
1. Conservative management
2. Laparoscopic myomectomy
3. Curettage
4. Hysterectomy

Correct answer: 1. Conservative management

Explanation: Ans. (a) Conservative managementRef : Shaws 15th ed. /364; William Obstetrics 23rd ed. Ch 40* Uterine leiomyomas (fibroids) are common benign smooth muscle tumors. Their incidence during pregnancy is probably about 2 percent and depends on population characteristics and the frequency of routine sonography.* Treatment of symptomatic myomas consists of analgesia and observation. Most often, signs and symptoms abate within a few days, but inflammation may stimulate labor.* Surgery is rarely necessary during pregnancy.